All of the following statements about Conus syndrome are true except
1. Saddle anaesthesia is present
2. Flexor plantar response is seen
3. Knee and ankle jerks are absent
4. Bowel and bladder involvement is prominent

Correct answer: 3. Knee and ankle jerks are absent

Explanation: Bonus syndrome consist of bilateral saddle anesthesia(s3_s5),prominent bladder and bowel dysfunction and impotence Bulbocavernous(s2_s4)and anal reflex absent. Conus medullaris syndrome is a secondary form of spinal cord damage resulting from injuries to the lumber vertebrae. The conus medullaris is the bundled, tapered end of the spinal cord nerves. Consequently, problems with the conus medullaris often affect the cauda equina.Symptoms and Signs of Conus Medullaris and Cauda Equina Syndromes .Knee jerks preserved but ankle jerks affected Ref Davidson edition23rd pg 1090